Which of the following will have maximum conductive hearing loss?
1. Partial stapes fixation
2. Tympanic membrane perforation with intact ossicular chain
3. Tympanic membrane perforation with ossicular discontinuity
4. Intact tympanic membrane with ossicular discontinuity

Correct answer: 4. Intact tympanic membrane with ossicular discontinuity

Explanation: (Refer: PL Dhingra, Textbook of Ear, Nose, Throat, 6th edition, pg no: 34)
Hearing loss in conduction apparatus